The subarachnoid space ends at
1. L1
2. L2
3. L5
4. S2

Correct answer: 4. S2

Explanation: Arachnoid & dural sheath end at the lower end of the S-2 vertebra. Subarachnoid space terminates at the caudal (lower border) S-2 vertebra. This is also the ending of the sub-dural space. Ref - BDC 6thedition vol 2